A man presented with palpitations, headaches, profuse sweating and hypertension was suspected of having pheochromocytoma. The diagnostic procedure NOT done in case of pheochromocytoma is:
1. CT scan
2. MRI
3. FNAC
4. MIBG scan

Correct answer: 3. FNAC

Explanation: Biochemical and Imaging Methods Used for Pheochromocytoma Diagnosis: 24-h urinary tests Vanillylmandelic acid Catecholamines Fractionated metanephrines Total metanephrines Plasma tests Catecholamines Free metanephrines CT MRI MIBG scintigraphy Dopa (dopamine) PET Ref: Neumann H.P. (2012). Chapter 343. Pheochromocytoma. In D.L. Longo, A.S. Fauci, D.L. Kasper, S.L. Hauser, J.L. Jameson, J. Loscalzo (Eds), Harrison's Principles of Internal Medicine, 18e.